The most common cause of vitreous hemorrhage in adults is –
1. Retinal hole
2. Trauma
3. Hypertension
4. Diabetes

Correct answer: 4. Diabetes

Explanation: "Diabetic retinopathy is the commonest cause of spontaneous vitreous hemorrhage in adults". ____ Parson's
"Most common cause of vitreous hemorrhage is diabetic retinopathy in adults".  — Atlas of ophthalmology